Amount of X-rays that undergo Compton scattering:
1. 7%
2. 23%
3. 57%
4. 70%

Correct answer: 3. 57%